All are true about a femoral hernia EXCEPT?
1. Common in multiparous women
2. Lockwood infra-inguinal approach is used
3. Cough impulse is present
4. Higher incidence of strangulation than an inguinal hernia

Correct answer: 3. Cough impulse is present

Explanation: Ans. (c) Cough impulse is present * Femoral hernias occur just below the inguinal ligament when abdominal contents pass through a naturally occurring weakness called the femoral canal. A femoral hernia follows the tract below the inguinal ligament through the femoral canal. The canal lies medial to the femoral vein and lateral to the lacunar (Gimbernat) ligament. Because femoral hernias protrude through such a small defined space, they frequently become incarcerated or strangulated * Femoral hernias are uncommon variety accounting for only 3% of all hernias. Femoral hernias mostly develop in women because of the wider bone structure of the female pelvis. * Femoral hernias in children are associated with a connective tissue disorder or with conditions that increase intra-abdominal pressure. Seventy percent of pediatric cases of femoral hernias occur in infants under the age of one.